BMI for normal weight -
1. 18.5 - 22.99
2. 23.0 - 24.99
3. >=25
4. >=30

Correct answer: 1. 18.5 - 22.99

Explanation: Normal range of BMI = 18.5 to 22.99 ( Indian stantard). Ref- Park's textbook of Preventive and Social Medicine 24th edition. .